Term used for death of full family suicide is
1. Mass suicide
2. Jauhar
3. Massacre
4. Familicide

Correct answer: 4. Familicide

Explanation: (D) Familicide# FAMILICIDE is a type of murder or murder-suicide in which at least one spouse and one or more children are killed, or in which a parent or parents and possibly other relatives such as siblings and grandparents are killed.> In some cases all of the family members' lives are taken. If only the parents are killed, the case may also be referred to as a parricide. Where all members of a family are killed, including when the killing takes the form of a murder-suicide, the crime may be referred to as family annihilati> Jauhar (Jowhar) is the self-immolation of women, always including queens and female royals of Hindu kingdoms, most notably the Rajput kingdoms of Rajasthan in India, when facing defeat at the hands of an enemy.> Massacre is the deliberate slaughter of members of one group by one or more members of another more powerful group. A massacre may be indiscriminate or highly methodical in application. A massacre is a single event, though it may occur during the course of an extended military campaign or war.> Mass suicide occurs when a group of people commit suicide simultaneously. Contents. Examples 1. Historical mass suicides; 2. Religiously motivated.